Characteristic Symptom in induced psychotic disorder is
1. Insomnia
2. Profound mood disturbance
3. Accepting delusions of other person
4. Suicidal Ideation

Correct answer: 3. Accepting delusions of other person

Explanation: C i.e. Accepting delusions of other person